Which part of chlorine disinfection is most effective?-
1. Hypochlorous acid
2. Hypochlorous ion
3. Hypochlorite ion
4. None

Correct answer: 1. Hypochlorous acid

Explanation: The disinfecting action of chlorine is mainly due to hypochlorous acid. It is 70-80 times effective than hypochlorite ion. So chlorine acts as best disinfectant art when pH of water is around 7 because of the predominance of hypochlorous acid. (PARK TB 25th edition pg 774)